Not a feature of delirium tremens is:
1. Confusion (clouding of consciousness)
2. Visual hallucinations
3. Coarse tremors
4. Occulomotor nerve palsy (ophthalmoplegia)

Correct answer: 4. Occulomotor nerve palsy (ophthalmoplegia)

Explanation: D i.e. Occulomotor nerve palsy opthalmoplegia